Birt - hogg - dube syndrome associated with:
1. Renal cell carcinoma
2. Lung Ca
3. Stomach Ca
4. Ovarian Ca

Correct answer: 1. Renal cell carcinoma

Explanation: * Birt-Hogg-Dube syndrome is an autosomal dominant Geno-dermatosis. The clinical feature is- Hair follicle hamartomas Kidney tumors: R.C.C Spontaneous pneumothorax